Cotton wool spot is /are seen in:
1. DR (Diabetic retinopathy)
2. Hypertensive retinopathy
3. AIDS
4. All

Correct answer: 4. All

Explanation: A, B, C i.e. Diabetic retinopathy, Hypertensive retinopathy; AIDS Cotton wool spots (or soft exudates) are seen in vascular retinopathies such as diabetic retinopathy, hypertensive retinopathy, retinopathy in toxaemia of pregnancy and /or pheochromocytoma and lupus erythematosus retinopathy. AIDS, CMV and radiation retinopathy are other causes. Cotton Wool Spots (Soft Exudates) - These are soft exudates seen as white fluffy superficial deposits in retina with indistinct (ill defined) margins giving the appearance of cloud like soft aggregates. - They are commonly small (but may be large), disappear rapidly and frequently change their shape. - They are formed by the arrest of axoplasmic flow at the edge of an ischemic area where nerve fibers cross the boundary. Causes include. Cotton Wool Spots in AIDS The most common abnormal fundoscopic findings in AIDS Represent areas of reinal ishchemia secondary to microvascular disease At times, may be associated with small areas of haemorrhage making it difficult to distinguish from CMV retinitis. In contrast to CMV retinitis, however, cotton wool spots are - Not associated with visual loss - Tend to remain stable or improve over time Diabetic retinopathyQ Hypertensive retinopathyQ Retinopathy in toxaemia of pregnancyQ Retinopathy in pheochromocytoma AIDS, CMV retinitisQ Collagen Vascular diseases eg SLE (lupus) retinopathyQ DLE, Scleroderma, PAN etc Anemic conditions eg hypotensive retinopathy, carotid ligation, severe blood loss, cardiac embolic disease, leukemia, sickle cell retinopathy (+-) CRVO (ischemic type) Radiation retinopathy * Sickle cell retinopathy shows sea fan configuration (of sprouting new vessels) and sunburst spots.